Fusion inhibitor approved for use in HIV is:
1. Enfuvirtide
2. Efaviranez
3. Empricitabine
4. Atazaravir

Correct answer: 1. Enfuvirtide

Explanation: Ans: A (Enfuvirtide) Ref: KD Tripathrs Essentials of Pharmacology. 6th edition, pg: 771Explanation:Anti HIV DrugsGroup A: Nucelosrde Reverse Transcriptase InhibitorDrugsSide EffectsZtdovudineAnemiaNeutropeniaHeadacheInsomniaMyopathyLactic acidosisHepatomegaly with steatosesDidanosinePancreatitisPeripheral neuropathyDry mouthHepatitisZalcitabinePeripheral neuropathyPancreatitisLactic acidosisHepatomegaly with steatosisOral apthous ulcersStavudinePeripheral neuropathyPancreatitisHepatitisLamivudineRashPeripheral neuropathyAbacavirRashFeverHypersensitivityGroup B. Non-Nucleoside Reverse TranscriptaseNevirapineSkin rashAbnormal liver function testsDelavirdineSkin rashAbnormal LFTEfavirenzSkin rashDysphoriaAbnormal LFTGroup C: Nucleotide Reverse Transcriptase InhibitorsTenofovrGastrointestinal distressGroup D: Protease InhibitorsSaquinavirDiarrheaHyperglycemiaFat redistributionLipid abnormalitiesRitonavirAbdominal painHyperglycemiaFat distributionIndinavirNephrolithiasisIndirect hyperbilirubinemiaHyperglycemiaNeifinavirDiarrheaHyperglycemiaFat redistributionAmprenavrRashOral paraesthesia HyperglycemiaLopinavirDiarrheaHyperglycemiaFat redistributionGroup E: Fusion InhibitorEnfuvirtideHypersensitivity reaction increased bacterial pneumoniaNewer FDA Approved DrugsEntry Inhibitors - CCR5 co-receptor antagonistMaravirocHIV integrase strand transfer inhibitorsRaitegravirDoiutegravir